Jitteriness can be distinguished from seizures by all of the following except -
1. Senstivity to stimulus
2. Frequency of movement
3. Abnormality of Gaze
4. Autonomic disturbance

Correct answer: 2. Frequency of movement

Explanation: Ans. is 'b' i.e., Frequency of Movement Jitteriness Jitteriness is stimulus sensitive (means, Jitteriness can be initiated by physical stimulation) Jitteriness can be abolished by passive restraint e.g. Flexion of the limb Not associated with autonomic changes or occular phenomena Jitteriness may have same frequency of movements as that of seizures but in jitteriness the rate of movements is identical in either direction Seizure Seizures are rarely stimulus sensitive Can not be abolished by passive restraint Epileptic seizures are often associated with autonomic changes and occular phenomena Clonic fits shows rapid alteration of fast and slow phase of movements